All are true about phlyctenular conjunctivitis except:
1. It is type-IV cell mediated hypersensitivity
2. Allergens are endogenous as well as exogenous
3. Incidence is higher in girls than boys
4. Nodular lesion usually occurs near the limbus

Correct answer: 2. Allergens are endogenous as well as exogenous

Explanation: Ans. Allergens are endogenous as well as exogenous